All are pervasive developmental disorders except _____________
1. Asperger syndrome
2. Autistic disorder
3. Childhood disintegrative disorder
4. Attention deficit hyperactivity disorder

Correct answer: 4. Attention deficit hyperactivity disorder

Explanation: Pervasive developmental disorders, also called as autistic spectrum disorders, a cluster of syndromes that share marked abnormalities in the development of social and communicative skills Autistic disorder Rett syndrome Asperger syndrome Childhood disintegrative disorder Attention deficit hyperactivity disorder (ADHD) does not come under autistic spectrum disorders. symptoms of both may overlap. Ref : Ghai 8edition pg:61